All of the following are used for induction of labour, EXCEPT:
1. PG F2 a. tablet
2. PG E, tablet
3. PG E, gel
4. Misoprostol

Correct answer: 1. PG F2 a. tablet

Explanation: Ans. is a i.e. PGF,ct tablet